Oral combined contraceptive pills contain which one of the following sets of hormone :
1. Ethinyl oestradiol. progestrogen and oestrone
2. Progestrogen and Ethinyl oestradiol
3. Progestrogen and oestrone
4. Oestrone and ethinyl oestradiol

Correct answer: 2. Progestrogen and Ethinyl oestradiol

Explanation: Progestrogen and Ethinyl oestradiol